Pulsus bigeminy is seen in?
1. Digitalis
2. Beta Blockers
3. ACE inhibitors
4. Calcium channel blockers

Correct answer: 1. Digitalis

Explanation: digoxin and digitalis causes pulses bigemini Pulsus bigeminus is a cardiovascular phenomenon characterized by groups of two heabeats close together followed by a longer pause. The second pulse is weaker than the first. Look for a pattern of what appears to be a relatively normal QRS complexes, each followed by a smaller, abnormal one . Ref Davidson 23rd edition pg 456